Meconium ileus is associated with:
1. Fibrocystic disease of pancreas
2. Liver aplasia
3. Cirrhosis of liver
4. Malnutrition

Correct answer: 1. Fibrocystic disease of pancreas

Explanation: Meconium ileus in the newborn represents the earliest clinical manifestation of CF and affects roughly 15% of patients with this inherited disease Cystic FIbrosis Diagnosis The diagnosis of CF is usually confirmed in the postoperative period The pilocarpine iontophoresis sweat test revealing a chloride concentration >60mEq/L is the most reliable and definitive method to confirm the diagnosis of CF. This test may not be reliable in infants and is usually performed later. A more immediate test includes detection of the mutated CFTR gene. This test, coupled withh a careful family history and clinical presentation, permits confirmation of the diagnosis in most infants Ref: Sabiston 20th edition Pgno: 1875